Ligament of Lockwood is seen at ?
1. Ear
2. Palate
3. TM joint
4. Orbit

Correct answer: 4. Orbit

Explanation: Fascia! sheath of eve ball (Bulbar fascia)Tenon's Capsule is a fascial sheath around eye ball.This fascial sheath in pierced by tendons of extraocular muscles and ciliary nerves and vessels. o Tenon's capsule (fascial sheath) gives following expansions :?Tubular sheath which covers each orbital muscle.Medial check ligament is a triangular expansion from sheath of medial rectus; it is attached to lacrimal bone.Lateral check ligament is a triangular expasion from sheath of lateral rectus and is attached to zyomati bone.